Periodontal ligament is thinnest at
1. Apex
2. Coronal
3. Crestal
4. Fulcrum of axis of rotation

Correct answer: 4. Fulcrum of axis of rotation